Role of neo-adjuvant chemotherapy in breast carcinoma patient is:
1. Curing distant metastasis
2. To shrink the tumour to enable breast conserving therapy
3. Limiting metastasis
4. Symptomatic

Correct answer: 2. To shrink the tumour to enable breast conserving therapy

Explanation: Ans. B: To shrink the tumour to enable breast conserving therapy Primary chemotherapy (neoadjuvant) is being used in many centres for large but operable tumours that would traditional require a mastectomy (and almost certainly postoperative adjuvant chemotherapy) The aim of this treatment is to shrink the tumour to enable breast conserving surgery to be performed